Unwinding of DNA during replication is done by-
1. Ligase
2. Helicase
3. Polymerase
4. Prinase

Correct answer: 2. Helicase

Explanation: Ans. is 'b' i.e., HelicaseProteins involved in replicationProteinFunctionHelicaseCauses unwinding of DNA using ATPSSB (Single strand binding protein)Keeps two strands seprate, prevents renneiling of two strandsTopisomerase I and IIThey have both nuclease (strand cutting) and ligase activity, hence they relieve torsinal strain that results from helicase induced unwindingDN A pnmaseInitiates synthesis of RNA primerDNA polymeraseDeoxyribonucleotide polymerizationDNA Jigase/nick sealingSeals the single stranded nick between nascent chaind and okazaki fragments